Platypnea may be seen in all of the following conditions, except
1. Bilateral Diaphragmatic palsy
2. Pleural effusion
3. Pulmonary embolism
4. Cirrhosis

Correct answer: 1. Bilateral Diaphragmatic palsy

Explanation: Answer is A (Bilateral Diaphragmatic palsy): Bilateral diaphragmatic palsy is associated with orthopnea and not platypnea. It has not been mentioned as a cause for platypnea. Severe COPD, pleural effusion and pulmonary embolism may present with either orthopnea or platypnea depending on the pathophysilogy.